Digoxin toxicity is aggravated by: a) Hypokalemia b) Hyperkalernia c) Hypercalcemia d) Hypermagnesemia e) Hypocalcemia
1. ad
2. bc
3. cd
4. ac

Correct answer: 4. ac